Caution is taken while doing IMF for which of these types of patients?
1. Substance abusers
2. Epileptics
3. Psychiatric disorders
4. All of the above

Correct answer: 4. All of the above

Explanation: These conditions are contraindications for post-operative IMF, and such patients should be treated with internal fixation only.